In which organelle (s) of hepatocyte, the elongation of long chain fatty acid takes placea) Endoplasmic reticulum (ER)b)  Golgi bodyc) Mitochondriad) Lysosomese) Ribosome
1. ac
2. bc
3. ad
4. b

Correct answer: 1. ac

Explanation: Endoplasmic reticulum (E ) & i.e., Mitochondria

Elongation takes place in microsomal system (endoplasmic reticulum) and mitochondrial system.